The term given to the phenomenon of moisture absorption by an alginate impression is
1. Imbibition
2. Syneresis
3. Hysteresis
4. Gelation

Correct answer: 1. Imbibition